All are true about osseous crater except
1. 2/3rd of all mandibular defects
2. 2 times more common in anterior region as compared to posterior
3. 85% lingual and facial height is same
4. 1/3rd of all defects

Correct answer: 2. 2 times more common in anterior region as compared to posterior